Ideal site for intraocular lens implantation is:
1. Anterior to the pupil
2. Behind the cornea
3. In the lens capsule
4. Behind the lens capsule

Correct answer: 3. In the lens capsule

Explanation: Ans. In the lens capsule